Which isoenzyme of LDH is seen in heart
1. LDH 1
2. LDH 2
3. LDH 3
4. LDH 4

Correct answer: 1. LDH 1

Explanation: Ans. is 'a' i.e., LDH1